The carrying capacity of any given population is determined by its -
1. Population growth rate
2. Birth rate
3. Death Rate
4. Limiting source

Correct answer: 4. Limiting source

Explanation: Carying capacity The carrying capacity of a biological species in an environment is the maximum population size of the species that the environment can sustain indefinitely, given the food, habitat, water, and other necessities available in the environment. In population biology, carrying capacity is defined as the environment's maximal load, which is different from the concept of population equilibrium. Its effect on population dynamics may be approximated in a logistic model, although this simplification ignores the possibility of overshoot which real systems may exhibit. It is determined by limiting resource of the particular environment Ref : Internet